Perceptual misinterpretation of a real object is:
1. Illusion
2. Delusion
3. Hallucination
4. Schizophrenia

Correct answer: 1. Illusion

Explanation: Illusion